ABO blood groups inheritance is an example of -
1. Mitochondrial inheritance
2. Allelic exclusion
3. Sex-linked inheritance
4. Co-dominance

Correct answer: 4. Co-dominance

Explanation: . Co-dominance